Cheiloscopy is the study of prints of-
1. Foot
2. Fingers
3. Palate
4. Lips

Correct answer: 4. Lips

Explanation: Cheiloscopy (queiloscopy) is the study of lip prints.